Which one of the following modes of intervention covers the process of advising a patient to change his lifestyle in order to prevent any risk factor for a disease
1. Health promotion
2. Specific protection
3. Disability limitation
4. Rehabilitation

Correct answer: 1. Health promotion

Explanation: Lifestyle modification (modification of risk factors) comes under health promotion which in turn is a part of primary prevention Primary prevention includes both health promotion and specific protection Ref : Park's Textbook of Preventive and Social Medicine; 23rd edition - Pgno. 42